A 30 year old female patient complains of cough with sputum. Patient is a known case of tuberculosis and is on rifampin for the same. All of the following are true about this drug EXCEPT-
1. It inhibits transcription
2. It binds with the beta-subunit of prokaryotic RNA polymerase
3. It inhibits RNA polymerase activity
4. It binds with the alpha-subunit of prokaryotic RNA polymerase

Correct answer: 4. It binds with the alpha-subunit of prokaryotic RNA polymerase

Explanation: Rifampin : lt is an antibiotic widely used for the treatment of  tuberculosis and leprosy. Rifampin binds with the beta-subunit of prokaryotic RNA polymerase and inhibits its activity. It inhibits transcription.
Satyanarayana- Biochemistry, 3rd edition, pg-549